Which of the following is the most likely diagnosis in case of a child with increased cough at night?
1. Pneumonia
2. Asthma
3. Bronchiolitis
4. Laryngomalacia

Correct answer: 2. Asthma

Explanation: Ans. is 'b' i.e., AsthmaVariation in intensity of coughWorse in night and early morning - Asthma, Persistent moistSeasonal variation - Asthma, BronchitisPostural variation - Bronchiectasis, Lung abscess